Exenatide is drug prescribed for which disease:
1. Osteoporosis
2. Diabetes
3. Hyperthyroidism
4. Infertility

Correct answer: 2. Diabetes

Explanation: Ans. B. DiabetesExenatide is new drug which is a GLP -1 analogue. It delays the gastric emptying, has a role in appetite control and also release of insulin. It controls post prandial hyperglycemia.